Which of the following are grevious injury
1. Emasculation
2. Privation of any member of joint
3. Permanent disfiguration of head or face
4. All

Correct answer: 4. All

Explanation: A i.e. Emasculation; B i.e. Privation of any member of joint; C i.e. Permanent disfiguration of head or face